The type of trasmission involved in the case of plague in rat flea -
1. Propagative
2. Cyclo propagative
3. Cyclo- Developmental
4. None

Correct answer: 1. Propagative